Which of the following drug is used in CPR?
1. Atropine
2. Amiodarone
3. Procainamide
4. Phenylephrine

Correct answer: 2. Amiodarone

Explanation: Ans. is'b'i.e., AmiodaroneImPoant drug used in CPR are epinephrine, amiodarone, lidocaine, MgSOr, sodium bicarbonate and calcium gluconateThe routine use ofAtropine for PEA (pulseless Electrical Activity & asystole has no therapeutic benefit.Hence, Atropine has been removed from the cardiac arrest algorithm